Which of the following test has highest detection rate for Down's syndrome
1. Maternal serum AFP
2. Integrated screening
3. Quadruple marker test
4. hcG levels

Correct answer: 2. Integrated screening

Explanation: Integrated screening combines first and second trimester tests.
This includes fetal Nuchal Translucency at 11 - 14 weeks + Quadruple markers at 15 - 20 weeks.